Which of the following pathways do not produce any ATP?
1. Uronic acid pathway
2. HMP pathway
3. Rapoport Luebering Shunt
4. All of the above

Correct answer: 4. All of the above

Explanation: RL Shunt, HMP shunt, Uronic acid pathway, oxidation of very long chain fatty acids, alpha oxidation of fatty acids do not produce any ATP.